Glutathion synthetase requires -
1. Copper
2. Selenium
3. Magnesium
4. Iron

Correct answer: 3. Magnesium

Explanation: Ans. is 'c' i.e., Magnesium o The two enzymes required for de novo synthesis of glutathione are :-1) Glutamyl cystein synthetase# It requires glutamic acid, cysteine, ATP and Mg+2: to form g-glutamyl cysteine:Glutathione synthetase# It requires glycine, ATP and Mg+2 to synthesize glutathione from g-glutamyl cysteine.Remembero Glutathione synthetase requireso Glutathione peroxidase contains- Magnesium- Selenium